All is true about von Hippel Lindau syndrome except:
1. Hemangioblastomas seen in craniospinal axis
2. Multiple tumors common
3. Tumors of Schwann cells are common
4. Supratentorial lesions are uncommon

Correct answer: 3. Tumors of Schwann cells are common

Explanation: C i.e. Tumors of Schwann cells are common Von Hippel-Lindau (VHL) syndrome is associated with multiple hemangioblastomasQ of infratentorial craniospinal axis, retina and pancreas. Supratentorial HB are uncommonQ.